Case control studies are used for -
1. Study of common disease
2. Finding multiple risk factors
3. Finding incidence rates
4. Finding relative risk

Correct answer: 2. Finding multiple risk factors

Explanation: Case control study: Proceeds from effect to cause Starts with the disease Tests whether the suspected cause occurs more frequently in those with the disease than those without the disease (refer pgno:79 park 23rd edition)